Mild dilated fixed pupil seen in
1. Acute congestive glaucoma
2. Iridocyclitis
3. Chronic congestive glaucoma
4. Open angle glaucoma

Correct answer: 1. Acute congestive glaucoma

Explanation: A i.e. Acute congestive glaucoma